Hemophilic A have following diagnostic features, except
1. ↓VIII factor
2. ↑PTT
3. ↑PT
4. Normal BT

Correct answer: 3. ↑PT